Which is the most common entero-pancreatic tumour in MEN 1?
1. Insulinoma
2. VIPoma
3. Non-functioning pituitary adenoma
4. Gastrinoma

Correct answer: 4. Gastrinoma

Explanation: Most common entero-pancreatic tumour in MEN 1 is gastrinoma which leads to recurrent peptic ulcers. The diagnosis is established by demonstration of elevated serum gastrin levels and basal gastric acid secretion. Choice C is non functioning pituitary adenoma and not non functioning entero-pancreatic tumor Multiple Endocrine Neoplasia (MEN) TYPE (CHROMOSOMAL LOCATION) TUMORS (ESTIMATED PENETRACE) MEN 1 (11q13) Parathyroid adenoma (90%) Enteropancreatic tumor (30-70%) Gastrinoma (> 50%) Insulinoma (10-30%) Nonfunctioning and PPoma (20-55%) Glucagonoma (<3%) VIPoma (<1%) Pituitary adenoma (15-50%) Prolactinoma (60%) Somatotrophinoma (25%) Coicotropinoma (< 5%) Nonfunctioning (< 5%)